All of the following are true about excitation contraction coupling except:
1. Acetylcholine is released at the nerve terminal
2. Calcium is pumped back into the sarcoplasmic reticulum during relaxation
3. Calcium is released from sarcoplasmic reticulum during contraction
4. Calcium binds to tropomyosin to initiate muscle contraction

Correct answer: 4. Calcium binds to tropomyosin to initiate muscle contraction

Explanation: Ans. d. Calcium binds to tropomyosin to initiate muscle contraction Calcium binds to Troponin C, not to the tropomyosin, to initiate muscle contraction. `The calcium released into the cytosol binds to Troponin C by the actin filaments, to allow cross-bridge cycling, producing force and, in some situations, motion.'